Investigation of choice for diagnosis of Acute Pancreatitis:
1. USG
2. Plain CT scan
3. CT scan with contrast
4. MRI Scan

Correct answer: 3. CT scan with contrast

Explanation: Ans. CT scan with contrast